Infections transmitted to man from vertebrate animals are known as:
1. Exotic
2. Anthropozoonoses
3. Zooanthroponoses
4. Epizootic

Correct answer: 2. Anthropozoonoses

Explanation: - Anthropozoonoses: Infections transmitted from animals (zoo) to Man (anthro). They are Rabies Plague Anthrax Hydatid disease Trichinosis